Which among the following is NOT a part of HELLP Syndrome?
1. Elevated Platelet count
2. Elevated liver enzymes
3. Lowered Platelet count
4. Haemolysis

Correct answer: 1. Elevated Platelet count

Explanation: Ans. A. Elevated Platelet countFollowing features describes the presence of HELLP syndrome:* Elevated liver enzymes* Microangiopathic Hemolytic Anemia* Low plateletsWhite women having age more than 25 years are more prone to this disorder. It serves as the most common cause of severe liver disease in pregnancy.HELLP has a number of similar characteristics to TTP including the presence of:* Microangiopathic Hemolysis* ThrombocytopeniaInvolvement of the central nervous system is a more prominent characteristic of TTP, while HELLP displays severe live function abnormalities more commonly.